Which isoenzyme has maximum electrophoretic mobility:
1. LDH-1
2. LDH-5
3. LDH-2
4. LDH-3

Correct answer: 1. LDH-1

Explanation: Electrophoretic mobility is a common affinity electrophoresis technique used to study protein-DNA or protein-RNA interactions Always number '1' is having maximum electrophoretic mobility. LDH-1 and CK-1 have maximum electrophoretic mobility. LDH-2 has maximum concentration in blood, that's why peak is highest.